Mapelson system used in children is:
1. Type A
2. Type B
3. Type C
4. Ayers T tube

Correct answer: 4. Ayers T tube

Explanation: Ayers T tube